The ultrasonic sound waves employed in ultrasound machine for medical sonography have the frequency of -
1. 2 – 20 MHz
2. Less than 1 MHz
3. 20 – 20, 000 Hz
4. Greater than 100 MHz

Correct answer: 1. 2 – 20 MHz